True statements about DNA structure:
1. All nucleotides are involved in linkage
2. Antiparallel
3. Bases are perpendicular to DNA
4. All

Correct answer: 4. All

Explanation: A i.e. All nucleotides are involved in linkage; B i.e. Antiparallel; C i.e. Bases perpendicular to DNA